All of the following features are seen in thrombotic thrombocytopenic purpura, except:
1. Fever
2. Haemolysis
3. Hypertension
4. Low platelets count

Correct answer: 3. Hypertension

Explanation: Thrombotic Thrombocytopenic Purpura is characterized by the pentad of hemolytic anemia, thrombocytopenia, neurologic symptoms, fever, and renal failure. It is not associated with hypertension. Ref: Harrison's Principle of Internal Medicine, 18th Edition, Pages 967, 969, Chapter 286